Double bubble sign on X-ray is seen in –
1. Duodenal atresia
2. Oesophageal atresia
3. Colonic atresia
4. Pyloric stenosis

Correct answer: 1. Duodenal atresia